SI unit of Radioactivity is
1. Curie
2. Becquerel
3. Roentgen
4. Sievert

Correct answer: 2. Becquerel

Explanation: SI unit - Becquerel
Old unit - Curie